According to national health policy, a sub center caters to population in hilly and tribal areas :
1. 3000
2. 5000
3. 1000
4. 2500

Correct answer: 1. 3000

Explanation: Ans. is 'a' 3000. Remember the following facts A subcentre caters a population of* - 5000 in general 3000 in hilly, tribal & backward areasA PHC caters a population of* - 30,000 in general 20,000 in hilly, tribal & backward area.A Community health centre caters a population of * - 80,000 to 1.2 lakh.A health assistant (male & females) are at a population of * - 30,000 in general or(20,000 in hilly, tribal or backward area.)Male and female health workers are at a population of * - 5000 in general or3000 in hilly, tribal or backward area.Health guide caters a population of* - 1000Anganwadi workers* - 1000